The following statements about breast milk are true except-
1. The maximum milk output is seen at 12 months
2. The coefficient of uptake of iron in breast milk is 70%
3. Calcium absorption of human milk is better that that of cow's milk
4. It provides about 65 k cals per 100 ml

Correct answer: 1. The maximum milk output is seen at 12 months

Explanation: Ans. is 'a' i.e., The maximum milk output is seen at 12 months o Under normal conditions, Indian mothers secrete 450 - 600 ml of milk daily Maximum output of milk is at 5 - 6 months (730 ml/ day) after which the output constantly declines. At 12 months the output is 525 ml/day -Park p. 455 o Iron was supposed to be deficient in breast milk, but recent work has shown that iron contained in human milk has a high level of bioavailiability thanks to complex phenomena. The coefficient of uptake of iron in breast milk may be as high as 70% where as it is only 30 percent for cow's milk and infant formulas' Park p. 463 The calcium phosphorus ratio is high so that uptake of calcium is better than cow's milk' - Park p. 374 Energy value of human milk is 64 to 72 kcal per 100 ml. -Park 463